Which of the following is a causative agent of Farmer's Lung?
1. Thermophilic Actinomycetes
2. Aspergillus Fumigatus
3. Actinobacter
4. Aspergillus Flavus

Correct answer: 1. Thermophilic Actinomycetes

Explanation: Ref: Harrison 20th edition, P 1970Farmers lung is a hypersensitivity pneumonitis which is caused by thermophilic actinomycetes. The same organism grows on sugarcane dust and is the antigen leading to Bagassosis.DiseaseAntigenSourceFarming/Food ProcessingFarmer's lungThermophilic Actinomycetes (e.g., Saccharopolyspora rectivirgula); fungusGrain, moldy hay, silage SugarcaneBagassosisThermophilic actinomycetes